Malignant hyperthermia is due to:
1. Nicotinic receptors
2. Ryanodine receptors
3. Muscarinic receptors
4. Serotogenic receptors

Correct answer: 2. Ryanodine receptors

Explanation: Ryanodine receptors